Treatment of thyroid storm includes all, EXCEPT -
1. Propranolol
2. Radioactive iodine
3. Hydrocortisone
4. Lugol' s iodine

Correct answer: 2. Radioactive iodine